Which of the following genital infections carries the highest risk for preterm delivery?
1. Trichomonas vaginitis
2. Monilial vaginitis
3. Bacterial vaginosis
4. Human papilloma virus

Correct answer: 3. Bacterial vaginosis

Explanation: BACTERIAL VAGINOSIS IN PREGNANCY Abortion Abruption Preterm labor Chorioamnionitis, Puerperal fever Intra uterine death.